Damage to the internal laryngeal nerve results in
1. Hoarseness
2. Loss of timbre of voice
3. Anaesthesia of the larynx
4. Brathing difficulty

Correct answer: 3. Anaesthesia of the larynx

Explanation: Anesthesia of larynx